Hilar dance is seen in fluroscopy of-
1. Patent ductus arteriosus
2. Aortic stenosis
3. Coarctation of aorta
4. Mitral stenosis

Correct answer: 1. Patent ductus arteriosus

Explanation: hi*lar dance vigorous pulmonary arterial pulsations due to increased blood flow, often seen fluoroscopically in patients with congenital left-to-right shunts, especially atrial septal defect(patent ductus aerosis) Ref Davidson 23rd edition pg 453